Arthritis mutilance is seen in?
1. Psoriatic athropathy
2. Rheumatoid arthritis
3. Spondyloarthropathy
4. Reactive arthritis

Correct answer: 1. Psoriatic athropathy

Explanation: ANSWER: (A) Psoriatic athropathyREF: Harrison's 17th ed chapter 318, style="font-size: 1.04761904761905em; font-family: Times New Roman, Times, serif; margin: 0 0 0 8px; text-indent: 0; text-align: left">The spectrum of arthropathy associated with psoriasis is quite broad. Many classification schemeshave been proposed. In the original scheme of Wright and Moll, five patterns are described;Asymmetric: This type affects around 70% of patients and is generally mild. This type does not occur in the same joints on both sides of the body and usually only involves fewer than 3 joints.Symmetric: This type accounts for around 25% of cases, and affects joints on both sides of the body simultaneously. This type is most similar to rheumatoid arthritis and is disabling in around 50% of all cases.Arthritis mutilans: Affects less than 5% of patients and is a severe, deforming and destructive arthritis. This condition can progress over months or years causing severe joint damage. Arthritis mutilans has also be called chronic absorptive arthritis, and may be seen in rheumatoid arthritis as well.Spondylitis: This type is characterised by stiffness of the spine or neck, but can also affect the hands and feet, in a similar fashion to symmetric arthritis.Distal interphalangeal predominant: This type of psoriatic arthritis is found in about 5% of patients, and is characterised by inflammation and stiffness in the joints nearest to the ends of the fingers and toes. Nail changes are often marked.